Fournier’s gangrene is seen in:
1. Nose
2. Scrotal skin
3. Oral cavity
4. All of the above

Correct answer: 2. Scrotal skin

Explanation: Fournier's gangrene (FG) is a fulminant form of infective necrotizing fasciitis of the perineal, genital, or perianal regions, which commonly affects men, but can also occur in women and children.